Which of the following is true of mumps
1. Salivary gland involvement is limited to parotids
2. The patient is not infectious prior to clinical parotid enlargement.
3. Menigoencephalitis can precede parotitis
4. Mumps orchitis frequently leads to infertility

Correct answer: 3. Menigoencephalitis can precede parotitis

Explanation: Mumps is an acute viral infection characterised by painful enlargement of the salivary glands most commonly the parotid,occasionally other salivary glands are also involved. The virus proliferates in the respiratory epithelium and enters circulation and it gets localised to the glandular and neural tissue. *The virus has been isolated from SALIVA as long as 6 days prior and 9 days after the appearance of salivary gland swelling . *The occurence of epididymo-orchitis is more common in adolescent boys or postpubertal men. It is unilateral in 85 % cases and occurs 1-2weeks after parotitis. Testes are enlarged and tender. Some degree of atrophy follows the inflammation but sterility is rare. *Aseptic meningitis is seen in about 1-10% patients with parotitis.Risk of encephalitis is between 0.02-0.3% case. *Meningoencephalitis May occur before or during or after the parotitis . *Other manifestations include auditory nerve damage ,cerebellarvataxia facial neuritis transverse myelitis and GB syndrome . Reference: Essential pediatrics,op ghai,9th edition,pg no:213